Spermatogenesis occurs at
1. Body temperature
2. Temperature lower than core body temperature
3. Temperature higher than core body temperature
4. Temperature does not play a role

Correct answer: 2. Temperature lower than core body temperature

Explanation: Spermatogenesis is the process in which spermatozoa are produced from spermatogonial stem cells by way of mitosis and meiosis. The location is specifically important as the process of spermatogenesis requires a lower temperature to produce viable sperm, specifically 1deg-8 degC lower than normal body temperature of 37 degC (98.6 degF).Ref: Ganong's review of medical physiology; 24th edition; page no:-420